Bonney's test is done for:
1. Stress incontinence
2. Urinary fistula
3. Urge incontinence
4. Urinary retention

Correct answer: 1. Stress incontinence

Explanation: Ans: a (Stress incontinence) Ref: Shaw, 13th ed, p. 189BRIDGE:Goniometer: is used to measure urethro-vesical angle, where as, gonioscopy is used to visualize angle of anterior chamber of eye!!(1) Bonney's test(2) Q-tip testdone for stress urinary incontinence (SUI). Diagnosis of SUI* Clinical stress test - positive* Pad test - positive* Midstream urine analysis - normal* Urinary diary (volume frequency chart)* Uroflowmetry - normal* Cystometry - normal* Significant lowering of urethral closure pressure during strain* Leak - point pressure (valsalva) test - positive* Cystourethroscopy - negative finding* Video - cystourethrography - bladder neck funneling* Transvaginal endosonography - altered anatomical relationship (descent) of urethro - vesical junction and bladder base